Supine hypotension syndrome occurs in :
1. Obesity
2. Ascites
3. Early pregnancy
4. Advanced pregnancy

Correct answer: 4. Advanced pregnancy

Explanation: Advanced pregnancy